All are causes of hypertension with hypokalemia except,
1. Bilateral renal artery stenosis
2. End stage renal disease
3. Primary hyperaldosteronism
4. Cushings disease

Correct answer: 2. End stage renal disease

Explanation: End stage renal disease Hypertension with Hypokalemia A. High renin Renal artery stenosis Accelerated hypertension Renin-secreting tumor Estrogen therapy B. Low renin 1.Primary aldosteronism Adenoma Hyperplasia Carcinoma 2.Adrenal enzyme defects 1113 - Hydroxylase deficiency 17a - Hydroxylase deficiency 3.Cushing's syndrome or disease 4. Other Licorice Carbenoxolone Chewer's tobacco Lydia Pinkham tablets Also know. Hypokalemia without hypertension BAER'S Syndrome GITELMAN'S Syndrome